The best guide to adequate tissue perfusion in the fluid management of a patient with burns, is to ensure a minimum hourly urine output of -
1. 10-30 ml
2. 30-50 ml
3. 50-70 ml
4. 70-100 ml

Correct answer: 2. 30-50 ml

Explanation: 0.5 - 1 ml/kg/hr i.e. 30-60 ml/hr in a 60 kg man. Urine output is the key indicator for monitoring resuscitation.